In Marfan's aortic aneurysm occurs in -
1. Ascending aorta
2. Arch of aorta
3. Descending aorta
4. Abdominal aorta

Correct answer: 1. Ascending aorta